The gastrosplenic ligament is derived from which of the following embryonic developmental structures?
1. Splenic artery
2. Splenic vein
3. Dorsal mesogastrium
4. Ventral mesogastrium

Correct answer: 3. Dorsal mesogastrium

Explanation: Embryonically the gastrosplenic ligament is derived from the dorsal mesogastrium. The gastrosplenic ligament is a made of peritoneum that connects the greater curvature of stomach with the hilum of the spleen. It contains short gastric vessels and left gastro-epiploic vessels.